Best view to see the superior orbital fissure :
1. Lateral view
2. Towne view
3. Caldwll luc's view
4. Anteroposterior view

Correct answer: 3. Caldwll luc's view

Explanation: Caldwell view: Occipito frontal view or nose forehead position. The view is taken with nose and forehead touching the film and X-ray beam is projected 15-20 degrees caudally. Structure seen are Frontal sinus Ethmoid sinus Maxillary sinus Frontal process of the zygoma and zygomatic process of the frontal bone. Superior margin of orbit and lamina papyracea. Superior orbital fissure Foramen rotundum ( Ref: Textbook of diseases of ENT, PL Dhingra, 7th edition, pg no. 494)